During development, the midgut artery appears to be markedly narrowed at its origin. Which of the following structures is derived from the midgut and may receive inadequate blood supply?
1. Gallbladder
2. Stomach
3. Descending colon
4. Ascending colon

Correct answer: 4. Ascending colon

Explanation: The ascending colon is derived from the midgut. The gallbladder and stomach are derived from the foregut, The descending colon and rectum are derived from the hindgut. DERIVATIVE OF MIDGUT Duodenum(distalhalf of 2nd part, 3rd and 4th parts) Jejunum Ileum Cecum Appendix Ascending colon Hepatic flexureof colon Transverse colon(proximaltwo-thirds)